Creatinine is formed from -
1. Glycine
2. Lysine
3. Leucine
4. Histamine

Correct answer: 1. Glycine

Explanation: Creatinine and creatine are synthesized from glycine, arginine and methionine.Synthesis of creatine and creatinineCreatine and creatinine are not amino acids, but specialized products of amino acids. Creatine is synthesized from glycine, arginine and methionine. Synthesis start with formation of guanidoacetate from glycine and arginine in kidney. Further reactions takes place in liver and muscle.